Combination of Doxylamine + ______ is considered as safest antiemetic drug in pregnancy
1. Palonosetron
2. Pyridoxine
3. Aprepitant
4. Domperidone

Correct answer: 2. Pyridoxine

Explanation: Doxylamine (antihistamine) with Pyridoxine (vitamin B6) is considered as safest antiemetic drug in pregnancy.